Systolic BP of a group of 200 people follows normal distribution. Mean BP is 120 mm Hg and standard deviation 10. Which of the following is true -a) 68% of people have BP between 110-130 mmHgb) 95% of people have BP between 110-130 mm Hgc) 95% ofpeople have BP between 100-140 mm Hgd) 99% of pepole have BP between 100-140 mm Hg
1. a
2. bc
3. ac
4. b

Correct answer: 3. ac

Explanation: The data provided in the question

Mean =120
SD =10
1SD distribution

68% of people (136 out of 200) will have BP in range of 120 ± 10 (1SD) =110 —130 mm Hg.
32% of people (64 out of 200) will have BP outside 110-130 mm Hg.
16% of people (32 out of 200) will have BP above 130 mm Hg
16% of people (32 out of 200) will have BP below 110 mm Hg.

2 SD distribution

95% of people (190 out of 200) will have BP in the range of 120 ± 20 (2SD) = 100 —140 mm Hg
5% of people (10 out of 200) will have BP outside 100-140 mm Hg.
2.5% of people (5 out of 200) will have BP above 120 mm Hg
2.5% of people (5 out of 200) will have BP below 100 mm Hg

3SD distribution

99% of people (198 out of 200) will have BP in the range of 120 ± 30 (3SD) = 90 —150 mm Hg
1% of people (2 out of 200) will have BP outside 90 —150 mm Hg.
0.5% of people (1 out of 100) will have BP above 150 mm Hg
0.5% of people (1 out of 100) will have BP below 90 mm Hg